Which is not compatible with Soda lime :
1. Halothane
2. Ether
3. N2O
4. Trilene

Correct answer: 4. Trilene

Explanation: Ans. is 'd' i.e. Trilene Soda lime is a mixture of* -90% Ca(OH)2*5 % Sodium Hydroxide*1 % Potassium Hydroxide*Silicates*Soda lime is used to absorb CO2. When it absorbs CO2 it produces heat. All volatile anaesthetic agents are decomposed by the heat produced as a result of absorption of CO2 by Soda lime.Thermal decomposition of trilene (tricolor ethylene) and Sevoflurane results in toxic compounds therefore neither of them should be used with soda lime.